An infant presented with itchy eczematous crusted lesions with exudation on palm, sole, glans penis and face. All are true except – a) Family should be examinedb) the Only patient needs drug treatmentc) All clothing & linen should be discarded or burntd) Distribution of lesion help in diagnosis makinge) Drug should be applied to affected areas for whole day
1. ab
2. bce
3. acd
4. ace

Correct answer: 2. bce

Explanation: Not only patient, but family member should also be examined and treated.
Drug should be applied to whole body below the neck (not only to affected part).
Ordinary laundering is adequate for bed linen. All clothing need not to be treated because the mites anyway dies in unworn clothes in about 7 days.
Typical distribution of burrow may help in diagnosis making.